MCV  > 100 fl  in all the following except
1. Alcohol liver disease
2. Folate deficiency
3. Reticulocytosis
4. Lead poisoning

Correct answer: 4. Lead poisoning

Explanation: Lead poisoning  - microcytic (MCV < 80 fl).